Female pseudohermaph rod itis m cause - MC.
1. CAH
2. Maternal ovarian tumour
3. Maternal drug intake
4. Chromosomal abnormalities

Correct answer: 1. CAH

Explanation: Ans. is 'a' i.e., CAHFemale pseudo hermaphroditismo Have internal genitalia female typeo Karyo type XXo Masculinisation of external genitaliao Most common - CAHCongenital adrenal hyperplasiaM-C. 21 hydroxylase deficiencyo Other cause excess maternal androgen due to -Maternal ovarian tumor.Maternal drug intake,o TreatmentHormonal therapy.Surgical correction.